Tearing of the skin and subcutaneous tissue is called:
1. Abrasion
2. Laceration
3. Contussion
4. Avulsion

Correct answer: 2. Laceration

Explanation: B i.e. Laceration